SSPE is a complication of -
1. Measles virus infection
2. AIDS
3. Syphilis
4. Mumps

Correct answer: 1. Measles virus infection

Explanation: Ans. is 'a' i.e., Measles virus infection Subacute Sclerosing Panencephalitis* SSPE is a rare chronic, progressive demyelinating disease of the CNS associated with a chronic nonpermissive infection of brain tissue with measles virus.* Most patients give a history of primary measles infection at an early age (2 years), which is followed after a latent interval of 6-8 years by the development of a progressive neurologic disorder. Some 85% of patients are between 5 and 15 years old at diagnosis.* Initial manifestations include poor school performance and mood and personality changes.* Typical signs of a CNS viral infection, including fever and headache, do not occur.* As the disease progresses, patients develop progressive intellectual deterioration, focal and/or generalized seizures, myoclonus, ataxia, and visual disturbances.* In the late stage of the illness, patients are unresponsive, quadriparetic, and spastic, with hyperactive tendon reflexes and extensor plantar responses.